Causes of a cavitating lesion in the chest radiograph are all except -
1. Hamartoma
2. Pulmonary infarction
3. Squamous carcinoma of the bronchus
4. Caplan's syndrome

Correct answer: 1. Hamartoma

Explanation: Haematoma (not hamartoma) causes lung cavitation.
Pulmonary infarct, squamous cell carcinoma of lung, RA & Caplan's syndrome can also cause lung cavitation.